Which of the following have analgesic property ?a) N2Ob) Ketamine c) Thiopentoned) Etomidate
1. ac
2. a
3. ab
4. bc

Correct answer: 3. ab